Inversion of nipple occures due to involvement of
1. Breast lobules
2. Montogomory tubercles
3. Cooper ligament
4. Lactiferous ducts

Correct answer: 4. Lactiferous ducts

Explanation: .* Breast carcinoma arising from lactiferous ducts is called as ductal carcinoma. * Breast carcinoma arising from lobules is called as lobular carcinoma. It is 10% common. Cutaneous Manifestations of Carcinoma Breast * Peau d'orange: Due to obstruction of dermal lymphatics, openings of the sebaceous glands and hair follicles get buried in the oedema giving rise to orange peel appearance. * Dimpling of skin due to infiltration of ligament of Cooper. * Retraction of nipple due to infiltration of lactiferous duct. * Ulceration, discharge from the nipple and areola. * Skin ulceration and fungation. * Cancer-en-cuirasse: Skin over the chest wall and breast is studded with cancer nodules appearing like an armour coat. ref:SRB's manual of surgery,ed 3,pg no 472